The recent terminology for status asthmaticus is:
1. Episodic asthma
2. Chronic asthma
3. Acute asthma
4. Severe acute asthma

Correct answer: 4. Severe acute asthma

Explanation: Ans: dRef: Harrison, 16th ed, p. 1508